Bartholin's duct opens into the:
1. Upper part of vagina
2. Lower and posterior fornix of vagina
3. External to the hymen, on the inner side of labium minora
4. Urethra

Correct answer: 3. External to the hymen, on the inner side of labium minora

Explanation: Bartholin's glands Two pea sized glands located slightly posterior to and to left and right of the vaginal opening Homologous to bulbourethral glands in males Located in superficial perineal pouch The ducts opens into the navicular fossa, external to the hymen, on the inner side of labium minora Bartholin's glands secrete mucus to provide lubrication during the sexual act.